Fluid, which has high potassium and low sodium contents, is -
1. CSF
2. Ectolymph
3. Endolymph
4. Pleural fluid

Correct answer: 3. Endolymph